Munro microabscesse are seen in -
1. Lichen planus
2. Mycosis fungoides
3. Psoriasis
4. Eczema

Correct answer: 3. Psoriasis

Explanation: Ans. is 'c' i.e., Psoriasiso Munro microabscess Psoriasiso Pautrier microabscess -4 Mycosis fungoides